Apple core apppearence in barium enema is seen in -
1. Colonic carcinoma
2. Fissure in ano
3. Rectal carcinoma
4. Hemorrhoides

Correct answer: 1. Colonic carcinoma

Explanation: Ans. is 'a' i.e., Colonic carcinoma Some Imp. Radiological featuresSeen in* Spider leg appearance* Polycystic kidney* Cobra head appearance* Ureterocele* Flower vase appearance of ureters* Horse shoe kidney* Sandy patches* Schistosomiasis of bladder* Soap bubble appearance* Hydronephrosis* Apple core lesion on barium enema* Ca colon* Claw appearance on barium enema* Intussusception* Saw tooth appearance* Diverticula of colon* Birds beak appearance of esophagus on barium meal* Achalasia* Cork screw appearance of esophagus on barium meal* Diffuse esophageal spasm* String sign of Kantor* Crohn's ds* Thumb printing sign* Ischemic colitis